Lowe's syndrome is characterised by the following except –
1. Hypophosphatamic rickets
2. Undescended testes
3. Defect in the CNS and eyes
4. Aminoaciduria

Correct answer: 2. Undescended testes

Explanation: Lowe's syndrome

It is also known as an oculocerebrorenal syndrome of Lowe.
It is an X-linked disorder.
It is characterized by :

i) Congenital cataract
ii) Intellectual disability
iii) Fanconi syndrome → Aminoaciduria

The disease is caused by a mutation in the OCRL1 gene, which encodes the phosphatidylinosital polyphosphate 5-phasphatasq.

Clinical features

Progressive growth failure o Hypotonia                               
Blindness    
Fanconi syndrome    
Renal inefficiency      
Behavioural problems   
Significant proteinuria